Fascia of Waldeyer's is seen in?
1. Between prostate and rectum
2. Between rectum and sacrum
3. Between rectum and pouch of douglas
4. Between bladder and vas

Correct answer: 2. Between rectum and sacrum

Explanation: The fascia of Waldeyer is a connective tissue by which the rectum( ampulla) is attached to the sacrum and coccyx.Fascia of Denonvilliers lies between the prostate and the ampulla of the rectum.Reference: Textbook of anatomy, Abdomen and lower limb, Vishram Singh, 2nd edition, page no.281